Which NSAID undergoes enterohepatic circulation?
1. Phenylbutazone
2. Aspirin
3. Ibuprofen
4. Piroxicam

Correct answer: 4. Piroxicam

Explanation: Piroxicam: It is a long-acting potent NSAID with anti-inflammatory potency similar to indomethacin and good analgesic-antipyretic action. It is a reversible inhibitor of COX; lowers PG concentration in synovial fluid and inhibits platelet aggregation-prolonging bleeding time. In addition, it decreases the production of IgM rheumatoid factor and leukocyte chemotaxis. Pharmacokinetics: 99% plasma protein bound; Excreted in urine and bile; enterohepatic cycling occurs Adverse effects: The g.i. side effects are more than ibuprofen, but it is better tolerated and less ulcerogenic than indomethacin or phenylbutazone; causes less fecal blood loss than aspirin. Rashes and pruritus are seen in < 1% of patients. Edema and reversible azotemia have been observed. ESSENTIALS OF MEDICAL PHARMACOLOGY;7TH EDITION; KD TRIPATHI; PAGE NO 201